Stereotactic radiotherapy is used in
1. Miliary tuberculosis
2. Stage I lung carcinoma
3. Lymphangitis Carcinomatosa
4. Carcinoma base of tongue with positive lymph nodes

Correct answer: 2. Stage I lung carcinoma

Explanation: Ans. b. Stage I lung carcinoma